The metabolic derangement in congenital pyloric stenosis is:
1. Hypochloremic alkalosis
2. Hyperchloremic alkalosis
3. Hyperchloremic acidosis
4. Hypochloremic acidosis

Correct answer: 1. Hypochloremic alkalosis

Explanation: a. Hypochloremic alkalosis(Ref: Nelson's 20/e p 1797-1799, Ghai 8/e p 279-280)High Yield Points:Congenital Hypertrophic Pyloric StenosisIt is the commonest surgical disorder of the stomach during infancyMore common in boys and in infants of blood group 'B' and 'O'; Usually does not present at birth, but after 3 weeks ageNon-billious vomiting is the initial symptoms of pyloric stenosis; leads to Hypochloremic metabolic alkalosis